Drug of choice for exo-erythrocystic stage of malaria is ?
1. Chloroquine
2. Primaquine
3. Proguanil
4. Mefloquine

Correct answer: 2. Primaquine

Explanation: Ans. is 'b' i.e., Primaquine